A person switches from high fat diet to low fat diet with compensatory increase in carbohydrates to maintain the same calories. Which of the following fat component will be increased ?
1. Chylomicron
2. VLDL
3. IDL
4. HDL

Correct answer: 2. VLDL

Explanation: As excess of carbohydrates are converted to fat in the body (liver) which eventually gets packed into VLDL so, VLDL represents the amount of fat production in the body, or in other words, it also represent excess dietary carbohydrate intake. While Chylomicrons represents the externally taken fats. Function Lipoproteins Lipoprotein rich in triglyceride Lipoprotein with least electrophoretic mobility Transporter of dietary (exogenous) triglycerides & Cholesterol Chylomicrons Transporter of endogenous triglycerides VLDL Transports endogenous Cholesterol from Liver to Peripheral tissue. LDL Lipoprotein rich in apolipoproteins Transports excess Cholesterol from Peripheral tissue to Liver called as reverse cholesterol transport HDL has the highest electrophoretic mobility and least lipid content. HDL particles are the densest. On electrophoresis, HDL moves farthest on electrophoretic plate towards the anode. HDL Lipoprotein resembling plasminogen Lp(a)